"Anti sacchromyces cervessiae" antibody is found in:
1. UCT
2. ropical sprue
3. Gluten sensitive enteropathy
4. Crohns disease

Correct answer: 4. Crohns disease

Explanation: Crohns disease